FALSE about maternal adaptation in multiple pregnancy compared to that in singleton pregnancy is?
1. Greater maternal blood volume expansion
2. Proportionately more red cell mass increase along with fluid increase and hence similar Hb pattern as singleton pregnancy
3. Higher incidence of Hyperemesis in twins
4. Higher blood volume expansion in twins

Correct answer: 2. Proportionately more red cell mass increase along with fluid increase and hence similar Hb pattern as singleton pregnancy

Explanation: Twin pregnancy is associated with higher serum b- hCG levels & hence have nausea and vomiting in excess of that with a singleton pregnancy Although red cell mass increases in multiple gestation but this increase is proportionately less compared to singleton pregnancy. This combined with greater iron and folate requirements , predisposes to anemia more likely than in singleton pregnancy